Which muscle tendon is stretched in patellar tendon reflex?
1. Biceps femoris
2. Quadriceps femoris
3. Adductor magnus
4. Quadratus

Correct answer: 2. Quadriceps femoris

Explanation: Quadriceps femoris stretches in patellar tendon reflex. Striking of the patellar tendon with a reflex hammer just below the patella stretches the muscle spindle in the quadriceps muscle.